The normal ankle brachial pressure index (ABPI) is 1.0.A value of 0.8 suggests
1. Good flow
2. Some degree of alterial obstruction
3. Impending gangrene
4. Presence of collaterals

Correct answer: 2. Some degree of alterial obstruction

Explanation: . The normal value of Ankle Brachial Pressure index (ABPI) will be less than 0.3.one should check blood pressure in all the 4 limbs.ABPI is checked in supine position;systolic blood pressure in upper and lower limbs is checked and higher value of each extremities is taken;ABPI is calculated.Results->0.9 is normal ;.70-0.89 is mild disease; 0.50-0.69 is moderate;< 0.50 is severe. Refer page no 171 of SRB's manual of surgery 5 th edition.